The subcostal angle during pregnancy is:
1. 85deg
2. 95deg
3. 105deg
4. 75deg

Correct answer: 3. 105deg

Explanation: The lower ribs flare out,the subcostal angle increases from 68deg to 103deg,the transverse diameter of the chest increases by 2 cm and the diaphragm rises by about 4 cm in pregnancy. Refer page no 80 of text book of obsteics,sheila balakrishnan,2 nd edition.